Condyloma accminatum is caused by HPV types of
1. 18,31
2. 17,12
3. 6,11
4. 16,18

Correct answer: 3. 6,11

Explanation: Ans. is 'c' i.e., 6,11 . High risk HPV: HPV-16, 18, 31, 33 & 45 ---> associated with cervical cancer. . Low risk HPV: HPV- 6 & 11 --> associated with precursor lesions CM and condyloma accuminatum . HPV-5 & 8 associated with squamous cell cancer in patients with epidermodysplasia verruciformis